Stain used for degenerated fungi in tissue is
1. PAS
2. H & E
3. Gomori methenamine silver
4. Mucicarmine

Correct answer: 3. Gomori methenamine silver